In carbamate poisoning all the following should be administered except -
1. Atropine
2. Artificial respiration
3. Gastric lavage
4. Oximes

Correct answer: 4. Oximes

Explanation: Oximes are contraindicated in carbamate poisoning because :


They are ineffective.
Pralidoxime also has weak antiChE activity.